Hyponatremia is seen in
1. Hyperthyroidism
2. Hypothyroidism
3. DM
4. Increased insensible loss

Correct answer: 2. Hypothyroidism

Explanation: Hypothyroidism is one of the causes of hyponatremia, thus thyroid-stimulating hormone determination is mandatory during the evaluation of patients with reduced serum sodium levels. .Patients with moderate to severe hypothyroidism and mainly patients with myxedema may exhibit reduced sodium levels (<135 mmol/L) Ref Davidson 23rd edition pg 370